Which type of RNA is NOT involved in translation:
1. mRNA
2. tRNA
3. rRNA
4. snRNA

Correct answer: 4. snRNA

Explanation: snRNA- Splicing occurs after transcription, not in translation. RNA Function mRNA Sequence is translated into protein tRNA Adapter that carries amino acid as well interact with mRNA rRNA Interact with mRNA and tRNA (peptidyl transferase) Also catalyses the peptide bond formation. snRNA Involved in splicing occurs after transcription